Pronator drip is a sign of
1. UMN lesion of upper limb
2. LMN lesion
3. Dorsal syringomyelia
4. Carpel tunnel syndrome

Correct answer: 1. UMN lesion of upper limb

Explanation: In medicine, pronator drift refers to a pathologic sign seen during a neurological examination. Jean Alexandre Barre is credited with having first described it; thus it is sometimes known as the Barre test or sign. A positive result indicates spasticity seen in UMN lesion of upper limb Ref Harrison20th edition pg 2345